For a given population, minimum no. of newborns to be examined for calculating percentage of LBW babies is
1. 100 babies
2. 1000 babies
3. 500 babies
4. 10,000 babies

Correct answer: 3. 500 babies

Explanation: LBW is regardless of gestational age.
Depending on the population, the percentage of LBW be based on measurements of atleast 500 babies.
Goal for LBW in National Health Policy 1983: Reduce LBW to <10% by 2000.